VNS works by
1. deep brain stimulation
2. vagal nerve stimulation
3. magnetic stimulation
4. convulsion production

Correct answer: 2. vagal nerve stimulation

Explanation: Vagus nerve stimulation * Electrical stimulation of left vagus nerve * Stimulation of raphe nucleus and locus cereleus * Release of norepinephrine and serotonin * Side effects * Voice alteration Ref. kaplon and sadock, synopsis of psychiatry, 11 th edition, 1075